Salter's pelvic osteotomy is done for treatment of-
1. CTEV
2. SCFE
3. DDH
4. None

Correct answer: 3. DDH

Explanation: Ans. is 'c' i.e., DDHTreatment of CDH/DDHo The aim of treatment in DDH is to achieve and maintain an early concentric reduction and maintain it until the hip becomes clinically stable and a round acetabulum cover it.o Treatment plan is according to the age1-6 months of agePavilk harness and/or Von-rosen splint are used to maintain the reduction. If dislocation persists, closed reduction or traction followed by casting is done.6-18 months of age Closed reduction or traction followed by casting. If closed reduction fails, open reduction followed by casting is recommended.18 months - 3years:- Open reduction with femoral shortening (if femoral site is involved) or salter asteotomy (if acetabulum is involved).3 - 8 yearsOpen reduction with femoral shortening with or without acetabular reconstructive osteotomy,o Acetabular reconstruction procedures areSalter s osteotomyChiari s pelvic displacement osteotomyPemberton s pericapsular osteotomy